Biliary stricture developing after laparascopic choice cystectomy usually occurs at which part of the common bile duct
1. Upper
2. Middle
3. Lower
4. All side with equal frequency

Correct answer: 1. Upper

Explanation: Biliary strictures post cholecystectomy commonly occur in CBD,that too near the confluence of right and left hepatic ducts;.i.e., in the upper part of CBD. Reference.SRB's manual of surgery,5th edition,page no:658.